All are postcoital contraceptives except :
1. IUD
2. Danazol
3. High dose estrogen
4. Medroxy progesterone acetate

Correct answer: 4. Medroxy progesterone acetate

Explanation: Medroxy progesterone acetate